Mesophilic organism grows at
1. - 20 to 7degC
2. 10 to 20degC
3. 25 to 40degC
4. 55 to 80degC

Correct answer: 3. 25 to 40degC

Explanation: Ref: Ananthnarayan, 9th ed. ch-1Organisms on the basis of their growth at different temperature:* Psychrophilic: (below 20degC)* Psychrotrophs: (important cause of food spoilage)* Mesophilic: (25-40degC)* Thermophilic: (55-80degC)